Which of the following stains is used to study fungal morphology in tissue sections –
1. PAS
2. Von–kossa
3. Alzarin–red
4. Masson's Trichrome

Correct answer: 1. PAS

Explanation: "The periodic acid schiff (PAS) and methenamine silver stains are valuable methods for the demonstration of fungal elements in tissue sections."